"Flash back phenomenon" is seen in
1. Hysteria
2. Organic illness
3. Acute stress reaction
4. Post-traumatic stress disorder

Correct answer: 4. Post-traumatic stress disorder

Explanation: (D) Post-traumatic stress disorder # PTSD is a reaction to being exposed to an event which is outside the range of normal human experience. It is a normal human emotional reaction to an abnormal situation. It is a psychological phenomenon. It is an emotional condition, from which it is possible to make a full and complete recovery.> Symptoms may come on soon after the trauma or fifty years later. That is what is meant by the post in PTSD. It is normal too for symptoms to come up again when faced by further trauma and in very stressful times. It is normal to be affected by trauma.> Intense fear, helplessness, or horror. Repeated and distressing recollections of the event, including images, thoughts, or perceptions. Unable to distinguish between past events and reality. Such incidents are often called "flashbacks" Distressing and or frightening dreams about the event. Associating various words, happenings, or "triggers" to the actual event wnich then causes a "flashback". Avoidance of anything that may "trigger" a flashback including not talking about the attack itself. Pretending it never happened, and an inability to recall anything about the attack, "denial". A feeling of numbness, detachment or "unrealness" about everything. A lack of emotion or inability to feel love or care about anything.